Metabolic effects of insulin on adipose tissue, include:
1. Accelerated transport of glucose
2. Decrease glucose phosphorylation
3. Decrease lipoprotein lipase
4. Increased cyclic AMP

Correct answer: 1. Accelerated transport of glucose

Explanation: Insulin helps control blood glucose levels by signaling the liver and muscle and fat cells to take in glucose from the blood. Insulin therefore helps cells to take in glucose to be used for energy. If the body has sufficient energy, insulin signals the liver to take up glucose and store it as glycogen.